Following organ/tissue have proven endocrine function/capability except
1. Heart
2. Adipocytes
3. Stomach
4. Salivary gland

Correct answer: 4. Salivary gland

Explanation: Salivary gland secretes only saliva all other organs has endocrine functionRef: Ganong's review of medical physiology; 24th edition